Complete AV nodal block results in?
1. Progressive increase of PR interval followed by dropped beat
2. More than 3 different morphologies of P waves
3. Absent P waves
4. Unequal PP interval and RR interval

Correct answer: 4. Unequal PP interval and RR interval

Explanation: Option A: Progressive increase of PR interval followed by dropped heart beat is ECG feature of Mobitz I Heart Block Option B: More than 3 different morphologies of 'P' wave is feature of Multifocal Atrial Tachycardia. Option C: Pwave is absent in atrial fibrillation. Option D: ECG finding of complete heart block